Feature (s) of syringomyelia is/are -a) Dissociated sensory lossb) Wasting of small muscles of handc) Ascending weaknessd) Frequent bladder- bowel involvement
1. ac
2. ab
3. ad
4. bc

Correct answer: 2. ab